Antrum of Highmore is ?
1. Maxillary
2. Ethmoid
3. Sphenoid
4. Frontal

Correct answer: 1. Maxillary

Explanation: Ans. is'a'i.e., MaxillaryMaxillary sinus is also called Antrum of Highmore.